In patient of head injuries with rapidly increasing intracranial tension without hematoma, the drug of choice for initial management would be :
1. Lasix
2. Steroids
3. 20% Mannitol
4. Glycine

Correct answer: 3. 20% Mannitol